A 9 year old boy presents with growth retardation and propensity to hypoglycemia. Physical examination reveals short stature, micropenis, increased fat and high-pitched voice. The skeletal survey reveals bone age of 5 years. Which of the following is most appropriate diagnosis -
1. Malabsorption
2. Growth hormone deficiency
3. Adrenal tumour
4. Thyroxin deficiency

Correct answer: 2. Growth hormone deficiency

Explanation: Ans. is 'b' i.e., Growth hormone deficiency Clinical features of Growth hormone deficiency o Short children with normal body proportions o Markely increased subcutaneous fat o Delayed skeletal age than chronological age o The height age is less than skeletal age and chronological age. o Hypoplastic penis and scrotum o May present with severe hypoglycemic convulsions. o Crowding of midfacial features o Genitals are small (sexual infantilism) o Truncal obesity. o High pitched voice o Depressed nasal bridge o Prominent philtrum o Frontal bossing o Delayed sexual maturation o Delayed tooth eruption